Which of the following statements about the action of the somatomedin is true?
1. They inhibit protein synthesis
2. They antagonize the effect of insulin
3. They promote growth of bone and cartilage
4. They mediate the local effects of Somatostatin

Correct answer: 3. They promote growth of bone and cartilage